Which of the following can be used as tumor marker in pancreatic carcinoma?
1. CA-125
2. CA 27-29
3. CA 19-9
4. CA 15-3

Correct answer: 3. CA 19-9

Explanation: CA 19-9 is a tumor marker for pancreatic as well as colon cancers.